Class II cavity preparation for amalgam restoration in
deciduous teeth requires:
1. More buccolingual extension
2. More nnesiodistaL extension
3. More gingival
4. More cervical

Correct answer: 1. More buccolingual extension